Increased level of 5 HLAA is present in:
1. Alkaptonuria
2. Albinism
3. Carcinoid tumor
4. Phenylketonuria

Correct answer: 3. Carcinoid tumor

Explanation: Ans. c. Carcinoid tumorRef: Bailey and Loves Short Practice of Surgery 27th Ed; Page No-1251CARCINOIPSYN DROMEDue to the metastasis of carcinoid tumors, which most commonly arise from the ileum and appendix and produce serotonin. Prior to metastasis, most secreted hormones undergo first-pass metabolism by the liver and do not cause systemic symptoms.Hx/PE: Cutaneous flushing, diarrhea, abdominal cramps, wheezing, and right-sided cardiac valvular lesions are the most common manifestations.Dx: High urine levels (initial test) of the serotonin metabolite 5-HIAA are diagnostic. CT and In-111 octreotide scans are used to localize the tumor.Tx: Treatment includes octreotide and surgical resection.